Calcium homeostasis disturbance is seen in
1. Malignant hyperthermia
2. DMD
3. Tibial muscular dystrophy
4. Limb girdle muscle dystrophy

Correct answer: 1. Malignant hyperthermia